Goitrous hypothyrodism commonly occurs in all of the following except -
1. Hashimoto's thyroiditis
2. Dyshoromonognesis
3. Thyroprivic hypothyroidism
4. Iodine deficiency

Correct answer: 3. Thyroprivic hypothyroidism

Explanation: HYPOTHYROIDISM TYPES Ref image - semantischolar.org